Retraining comprises of:
1. Avoidance.
2. Substitution.
3. Distraction.
4. All of the above.

Correct answer: 4. All of the above.